Anti-Adrenergic drug which crosses the bloodbrain barrier minimally is -
1. Propranolol
2. Atenolol
3. Oxprenolol
4. Alprenolol

Correct answer: 2. Atenolol

Explanation: Ans. is 'b' i.e., Atenolol Atenolol is a lipid insoluble 13-blocker. Lipid insolubile drugs have following features ? o Do not cross Blood Brain Barrier and therefore produce no CNS effects. o Have good renal excretion o Have no membrane stabilizing activity o Are incompletely absorbed orally o Are long acting o Are effective in narrow dose range